Chromosomal non - disjunction responsible for all except?
1. Down's syndrome
2. Neurofibromatsis type 1
3. Pradderwilli syndrome
4. Angleman syndrome

Correct answer: 2. Neurofibromatsis type 1

Explanation: Ans. is 'b' i.e., Neurofibromatosis type 1Nondisjunction Nondisjunction is the failure of homologous chromosomes or sister chromatids to separate properly during cell division.There are threeforms of nondisjunction: Failure of a pair of homologous chromosomes to separate in meiosisFailure of sister chromatids to separate during meiosis II, andFailure of sister chromatids to separate during mitosis.